TURP was done in an old patient of BHP, after which he developed altered sensorium cause is
1. Hypernatremia
2. Hyponatremia
3. Hypokalemia
4. Hyperkalemia

Correct answer: 2. Hyponatremia

Explanation: After dilution hyponatremia patient can devolop altered sensorium.